When does the eye morphogenesis start taking place?
1. 15 days
2. 22 Days
3. 49 days
4. 6 months

Correct answer: 2. 22 Days

Explanation: Ocular embryogenesis starts at 3 -4 weeks when optic groove appears.